A double aortic arch is due to persistency of the following segment:
1. Right dorsal aorta
2. Left dorsal aorta
3. Right primitive atrium
4. Left primitive atrium

Correct answer: 1. Right dorsal aorta

Explanation: Double aortic arch is the result of persistence and continued patency of the segment of the right dorsal aorta between the origin of the right seventh intersegmental artery and its junction with the left dorsal aorta. Affected infants have a characteristic inspiratory and expiratory wheeze, stridor, or crouplike cough. Echocardiography, CT, and MRI can demonstrate the anomalous anatomy. Ref: Keller B.B., Markwald R.R., Hoying J.B. (2011). Chapter 9. Molecular Development of the Heart. In V. Fuster, R.A. Walsh, R.A. Harrington (Eds), Hurst's The Heart, 13e.